Toxic amblyopia can be caused by ?
1. Ethanol
2. Methanol
3. Ethambutol
4. All

Correct answer: 4. All

Explanation: Ans. is 'd' i.e., All Toxic amblyopia is chronic retrobulbar neuritis which results from the damage to optic nerve by the exogenous poisons. It is frequently bilateral and has a chronic course with permanent visual deterioration. The toxic agents involve may be : Tobacco, ethyl alcohol, methyl alcohol, ethylene glycol, lead, arsenic, cannabis indica, carbon di-sulphide, various drugs like quinine, chloroquine, ethambutol, isoniazid, streptomycin, digitalis (digoxin), amiodaron, NSAIDs, vigabatrin and disulfiram.